Rigor mortis is simulated by all, except:
1. Cold stiffness
2. Heat stiffness
3. Tetanus
4. Putrefaction

Correct answer: 3. Tetanus

Explanation: Ans. Tetanus